Acts both as poison and antidote:
1. Copper sulfate
2. Mercuric chloride
3. Silver chloride
4. Thallium arsenate

Correct answer: 1. Copper sulfate

Explanation: Ans. Copper sulfate